A patient presents with LVH and pulmonary complications. ECG shows left axis deviation. Most likely diagnosis is
1. TOP
2. Tricuspid atresia
3. TAPVC
4. VSD

Correct answer: 2. Tricuspid atresia

Explanation: In tricuspid atresia ECG shows left axis deviation and left ventricular hypertrophy. Sincethepulmonary blood flow is abnormal may present with pulmonary complications. Ref Ghai pediatrics eighth edition pg no 422